A 29-year-old patient has a dislocated elbow in which the ulna and medial part of the distal humerus have become separated. What classification of joint is normally formed between these two bones?
1. Trochoid
2. Ginglymus
3. Enarthrodial
4. Synarthrosis

Correct answer: 2. Ginglymus

Explanation: Ginglymus joint is the technical term to describe a hinge joint. It allows motion in one axis (flexion and extension in the case of the elbow) and is therefore a uniaxial joint. The other types of joints listed allow motion in more than one axis.